Starry sky appearance is seen in -
1. Burkitts lymphoma
2. CLL
3. Diffuse large B cell lymphoma
4. ALCL

Correct answer: 1. Burkitts lymphoma

Explanation: Ans. is 'a' i.e., Burkitts Lymphoma Burkitts lymphomao It includes (1) African (endemic) Burkitt lymphoma, (2) sporadic (nonendemic) Burkitt lymphoma, and (3 ) a subset of aggressive lymphomas occurring in individuals infected with HIV.o The involved tissues are effaced by a diffuse infiltrate of intermediate-sized lymphoid cells containing round or oval nuclei with coarse chromatin, several nucleoli, and a moderate amount of faintly basophilic or amphophilic cytoplasm .o The nuclear size approximates that of benign macrophages within the tumor.o A high mitotic index is typical, as is apoptotfc tumor cell death, accounting for the presence of numerous tissue macrophages with ingested nuclear debris.o These benign macrophages are diffusely distributed among the tumor cells and have abundant clear cytoplasm, creating a characteristic "starry sky" pattern.o All forms of Burkitt lymphoma are associated with translocations of the c-MYC gene on chromosome 8. The partner in the translocation is usually the IgH locus (t(8;14)) but may also be the k' (t(2;8)) or g (t(8;22)) light chain locus.o Essentially all endemic tumors are latently infected with EBV.